Indicators of bone formation includes all of following except
1. Osteocalcin
2. Alkaline phosphatase
3. Hydroxyproline
4. Type 1 procollegen

Correct answer: 3. Hydroxyproline

Explanation: Markers of bone formation:Serum bone specific alkaline phosphatase * Serum osteocalcin * Serum peptide of type 1 collagen Markers of bone resorption:Urine and serum crosslinked 'N' telopeptidase * Urine and serum crosslinked 'C' telopeptidase * Urine total free deoxypyridinoline ref: maheswari,9th edition , page no.12